Period of amenorrhea followed by massive bleeding is seen in premenopausal women with :
1. Irregular ripening
2. Irregular shedding
3. Metropathia hemorrhagica
4. All of the above

Correct answer: 3. Metropathia hemorrhagica

Explanation: Irregular ripening is an ovulatory bleeding due to deficient corpus luteal function.The breakthrough bleeding occurs before the actual menstruation in the form of spotting or brownish discharge Irregular shedding is due to persistent corpus luteum.Menstruation comes on time,is prolonged but not heavy. Metropathia Haemorrhagica : It is a specialized form of anovulatory AUB, seen in women between 40 and 45 years. It is not related to parity. The symptoms are typical. The woman develops continuous painless vaginal bleeding, sometimes starting at the onset of menses, or preceded by 6-8 weeks of amenorrhoea. Occasionally, the woman reveals a history of menorrhagia prior to this. Reference : Shaw's Textbook of Gynaecology 16th edition page no 341